Residual asymmetric deformity of mandible is seen in:
1. Caffey disease.
2. Thalassemia.
3. Achondroplasia.
4. Paget disease.

Correct answer: 1. Caffey disease.